Silver impregnation technique is used in the identification of -
1. Spirochetes
2. Leptospira
3. Borrelia
4. All of the above

Correct answer: 4. All of the above

Explanation: Impregnation stains: - Cells and structures that are too thin to be visualized by the light microscope can be rendered visible by impregnation of silver on their surface. Silver impregnation method is a common method used for staining spirochetes, such as T. pallidum, Leptospira, Borrelia, etc. Histology = Treponema pallidum grow in Rabbit's testis. Brown color stained with Fontana Silver Impregnation stain.